Common dose dependant side effects of ethambutol is :
1. Red-urine
2. Optic neuritis
3. Nephropathy
4. Peripheral neuropathy

Correct answer: 2. Optic neuritis